Synergohymenotropic toxins of Staphylococcus consists of
1. alpha toxin
2. leucocidin
3. beta toxin
4. delta toxin

Correct answer: 2. leucocidin

Explanation: The toxins of Staphylococcus are: Cytolytic toxins: which include alpha-hemolysin, beta-hemolysin, gamma hemolysin, delta hemolysin and leucocidin Leucocidin (called the Panton-Valentine toxin or PVL after its discoverers) is a two-component toxin like gamma lysin, being composed of S and F components. Such bi-component, membrane active toxins have been grouped as synergohymenotropic toxins. Ref: Textbook of Microbiology; Ananthanarayanan and Panicker; 10th Edition; Page No: 203, 204